MOH's surgery is done for:
1. BCC.
2. SCC.
3. Melanoma.
4. All of the above.

Correct answer: 4. All of the above.

Explanation: MOH surgery is done for skin cancer.